"Pile of plates" appearance on angiography suggests diagnosis of
1. Atherosclerosis
2. Fibromuscular Dysplasia
3. Takayasu's Disease
4. Moya Moya disease

Correct answer: 2. Fibromuscular Dysplasia

Explanation: Angiography: "string of beads"/"Pile of plates" appearance of FMD is classically seen on angiography. Fibromuscular dysplasia most commonly causes small stenoses along a vessel with intervening areas of dilatation (small aneurysms), creating a "string of beads" appearance. Less commonly the stenosis has a smooth tapered appearance. Fibromuscular dysplasia also weakens the vessel wall which predisposes to dissection ref Robbins 9/e pg 678